An influenza is treated by
1. Amantidine
2. Ribavarin
3. Cidofovir
4. Oseltamivir

Correct answer: 4. Oseltamivir

Explanation: Refer KDT 6th/777,778 Oseltamivir and zanamivir are used for An influenza